Marker Enzyme of Mitochondria are/is:
1. Na+ - K+ ATPase
2. Glutamic dehydrogenase
3. Lactate dehydrogenase
4. No specific enzyme

Correct answer: 2. Glutamic dehydrogenase

Explanation: B i.e. Glutamic dehydrogenase